All of the following are used in the treatment of hyperkalemia except:
1. Calcium gluconate
2. Hypertonic saline
3. Sodium bicarbonate
4. Insulin

Correct answer: 2. Hypertonic saline

Explanation: b. Hypertonic saline(Ref: Nelson 20/e p 357-362)Drugs used in the treatment of acute hyperkalemia include: Calcium gluconate, Sodium bicarbonate, Insulin infusions & salbutamol nebulisation